Bull's eye lesion seen with:
1. Chloroquine
2. Dapsone
3. Rifampicin
4. Ethambutol

Correct answer: 1. Chloroquine

Explanation: Ans. Chloroquine